What is the ideal method to remove a retained Foley's catheter if its balloon does not deflate?
1. Over-distend the balloon with water till it bursts
2. Dissolve the balloon by injecting ether
3. CT-guided rupture of balloon
4. USG guided rupture of balloon

Correct answer: 4. USG guided rupture of balloon

Explanation: The ideal method to remove a retained Foley's catheter if its balloon does not deflate is by USG guided rupture of balloon after inflating it with 20ml water. It should be followed by a cystoscopic examination to rule out any fragments which can lead to bladder stones.